Which of following can result in secretion of both, insulin and glucagon?
1. Arginine
2. Fatty acids
3. Hypoglycemia
4. Hyperglycemia

Correct answer: 1. Arginine

Explanation: Ans. a (Arginine) (Ref. Ganong Physiology 22nd/pg. 345-350)FACTORS AFFECTING INSULIN AND GLUCAGON SECRETION# Insulin- Amino Acids# Several amino acids, especially arginine (stimulates insulin secretion)- Fatty Acids (stimulates insulin secretion).- Gastrointestinal Hormones (stimulate insulin secretion).- Action of insulin is opposed by:1. GH2. Glycogen3. Cortisol4. Epinephrine# Glucagon- Amino Acids# As with insulin, arginine is the most potent stimulus for the secretion of glucagon.- Fatty Acids# Decreased circulating fatty acids stimulate glucagon secretion.In direct contrast to insulin, a decrease in blood glucose concentration stimulates glucagon secretion. Therefore, circulating levels of glucagon tend to be highest during periods of starvation (fasting) or prolonged exercise (e.g., running a marathon). During these times, blood glucose concentrations are at their lowest. The ratio of insulin:glucagon concentrations is approximately 1:2.The glucagon brings about changes in the body's metabolism that raise blood glucose concentration back to normal. The alpha cells detect that glucose concentrations are returning to normal and stop secreting glucagon.Again, this is an example of negative feedback control.